The following diseases are associated with HLA B27 and uveitis Except
1. Bechet's syndrome
2. Reiter's syndrome
3. Psoriasis
4. Ankylosing spondylitis

Correct answer: 1. Bechet's syndrome

Explanation: Features of seronegative spondyloahroahropathiesOnset usually before 40 yearsAbsence of RA factorHLA- B27 positivePresence of uveitisExamples:- ankylosing spondylitis, Reitter's syndrome, Psoriatic arthritis, enteropathic arthritis, Reactive arthritis.(Refer: Mohindra's Fundamentals of Orthopedics, 2nd edition, pg no. 302, 426)